Turban epiglottitis is a clinical finding in ?
1. Tubercular laryngitis
2. Tubercular pharyngitis
3. Polypoid degeneration of vocal cord
4. Subglottic hemangioma

Correct answer: 1. Tubercular laryngitis

Explanation: Ans. is 'a' i.e., Tubercular laryngitis Laryngeal examination in TB laryngitis Hyperaemia of the vocal cord in its whole extent or confined to posterior part with impairment of adduction is the first sign. Swelling in the interarytenoid region giving a mammilated appearance. Ulceration of vocal cord giving mouse-nibbled appearance. Superficial ragged ulceration on the arytenoids and interarytenoid region. Granulation tissue in interarytenoid region or vocal process of arytenoid. Pseudoedema of the epiglottis "turban epiglottis". Swelling of ventricular bands and aryepiglottic folds. Marked pallor of surrounding mucosa.